Cisapride was withdrawn from market due to ?
1. QT Prolongation
2. Increased PR interval
3. Teratogenicity
4. Myocardial damage

Correct answer: 1. QT Prolongation

Explanation: Ans. is'a'i.e., QT prolongation